Oral ulcers which occurs in groups, persist for about 6 weeks and leave scars on healing are:
1. Recurrent aphthous major
2. Recurrent aphthous minor
3. Recurrent herpetiform ulcers
4. Acute herpetic gingivostomatitis

Correct answer: 1. Recurrent aphthous major